Sedation as an adverse effect is MOST with which of the following atypical antipsychotics?
1. Risperidone
2. Olanzapine
3. Quetiapine
4. Aripiprazole

Correct answer: 3. Quetiapine